Neonatal period extends upto -
1. 21 days of life
2. 30 days of life
3. 28 days of life
4. 35 days of life

Correct answer: 3. 28 days of life

Explanation: Ans. is 'c' i.e., 28 days of life Neonate (Newborn) o From birth to under four weeks of age (< 28 days), the infant is called neonate. o The neonatal period has been further subdivided into - i) Early neonatal period ----> First week of life (< 7 days) ii) Late neonatal period ----> 7th to < 28th day Term neonate (term baby) o Any neonate born between 37 and < 42 weeks (259 - 293 days) of pregnancy irrespective of the birth weight. Preterm baby o Any neonate born before 37 weeks ( o Any neonate born at or after 42 weeks (294 days or more) of pregnancy irrespective of the birth weight.